Not true about measles
1. Carriers are the source of infection
2. Koplik spots are pathognomonic
3. Edmonston zagreb strain used for vaccine
4. Incubation period is 2 weeks

Correct answer: 1. Carriers are the source of infection